Which is not seen in massive resection of small bowel?
1. Hypogastrinemia
2. Vitamin B12 deficiency
3. Malabsorption
4. Oxalate stone

Correct answer: 1. Hypogastrinemia

Explanation: Ans. (a) HypogastrinemiaRef: Sabiston 19th edition, page 1274-1276* Due to loss of small intestine feedback inhibition to gastrin is lost -- hence there will be hypergastrinemia* 70% resection can be tolerated in small intestine* Proximal bowel resection is tolerated much better than distal bowel* Presence of terminal ileum and IC valve is much tolerated